Nerve injured in fracture of medial epicondyle of humerus -
1. Anterior interosseous
2. Median
3. Ulnar
4. Radial

Correct answer: 3. Ulnar

Explanation: Ans. is 'c' i.e., UlnarSite of injuryNerve injuredFracture surgical neck humerusAxillary nerveFracture shaft humerusRadial nerveSupracondylar fractureMedian nerve (anterior interosseous branch)Medial epicondyle fractureUlnar nervePosterior dislocation of HIPSciatic nerveFibular neck fractureCommon peroneal nerve